A butt joint is a
1. 90° joint
2. 120° joint
3. 70° joint
4. 180° joint

Correct answer: 1. 90° joint